Tigered effect in myocardium is due to:
1. Malignant change
2. Fat deposition
3. Seen in rheumatic fever
4. Associated with myocarditis

Correct answer: 2. Fat deposition

Explanation: In a pattern of lipid deposition seen with prolonged moderate hypoxia, such as that produced by profound anemia, there is intracellular deposits of fat, which create grossly apparent bands of yellowed myocardium alternating with bands of darker, red-brown, uninvolved myocardium (tigered effect).